Isolation is not useful for all except:
1. Mumps
2. Measles
3. Hepatitis A
4. Pneumonic plague

Correct answer: 4. Pneumonic plague

Explanation: Ans. (d) Pneumonic plague :ef Park 27/e, p Disease Duration of isolation Chickenpox Until all lesions crusted; usually about 6 days after onset of rash Measles From the onset of catarrhal stage through 3rd day of rash German measles None, except that women in the first trimester or sexually active, non-immune women in child-bearing years not using contraceptive measures should not be exposed Cholera, Diphtheria 3 days after tetracyclines started, until 48 hours of antibiotics (or negative cultures after treatment) Shigellosis Until 3 consecutive negative stool cultures Salmonellosis Hepatitis A 3 weeks Influenza 3 days after onset 2 weeks adult, 6 weeks pediatric Polio Tuberculosis Until 3 weeks of effective chemotherapy (sputum +) Herpes zoster 6 days after onset of rash Mumps Until swelling subsides Pertussis 4 weeks or until paroxysms cease Meningococcal meningitis Until the first 6 hours of effective Streptococcal pharyngitis antibiotic therapy completed